Which of the following is NOT a major Criteria for rheumatic fever?
1. Carditis
2. Arthritis
3. Syndenham chorea
4. ASO titer

Correct answer: 4. ASO titer

Explanation: Ans. (d) ASO titerRef: Harrison 19th ed. / 2151Major JONES criteria is remembered as CASESModified Jones CriteriaMajor criteriaMinor criteriaEssential criteriaCarditisFeverAso titer > 333 IU for children 5-15 yearsArthritisArthralgiaThroat swab positive for group A beta hemolytic streptococcusSyndenham choreaLaboratory parameters* Increased PR interval* CRP positive* Leukocytosis* Increased ESR Erythema marginatum Subcutaneous nodules